Which of the following site is not used for measurement of skin fold thickness -
1. Mid-triceps area
2. Suprailiac region
3. Gluteal area
4. Biceps area

Correct answer: 3. Gluteal area

Explanation: Ans. is 4c' i.e., Gluteal area Skin fold thicknesso Since it is most accessible, SFT is the most common method used to assess obesity. o Measurements are taken at 4 sites : mid triceps (best site), biceps, subscapular and suprailiac regionso The sum of measurements > 50 mm in girls and > 40 mm in boys indicate obesity.o At single mid triceps level (best site to measure SFT), thickness > 18 mm in boys and > 32 mm in girls indicate obesity.o The instrument used to estimate SFT is Herpenden skin callipers.